Optimal operation theatre temperature should be
1. 21degC
2. 28degC
3. 32degC
4. 37degC

Correct answer: 1. 21degC

Explanation: Optimal operation theatre temperature for adults is 21degC and for children is 28degC.